50 people are suffering from cholera in a population of 5000. Out of 50, suffering from cholera, 10 died. But the total deaths are 50. What is the death rate?
1. 1 per 1000
2. 5 per 1000
3. 20 per 100
4. 10 per 1000

Correct answer: 4. 10 per 1000